The following statements are true regarding Chlamydia except -
1. Erthromycin is effective for therapy of Chamydial infections
2. Their cell wall lacks a peptidoglycan layer
3. They can grow in cell free culture media
4. They are obligate intracellular bacteria

Correct answer: 3. They can grow in cell free culture media